Patient following peanut consumption presented with laryngeal edema, stridor, hoarseness of voice and swelling of tongue. Most likely diagnosis is
1. Angioneurotic edema
2. Pharyngeal abscess
3. Foreign body larynx
4. Foreign body bronchus

Correct answer: 1. Angioneurotic edema

Explanation: Allergic angloedema: Most common type and usually affects those with some kind of food allergy. It can also be caused by insect bites, contact with latex, and some medications, such as penicillin or aspirin. In severe cases the throat can swell, making it hard for the patient to breath.